A child admitted to emergency with urinary incontinence, miosis, sweating, salivation.... poisoning likely by
1. Carbamates
2. Arsenic
3. Lead
4. Opioid

Correct answer: 1. Carbamates

Explanation: (A) Carbamates > Diagnosis of organic insecticide (Carbamate) poisoning was made on the basis of definite clinical picture such as bradycardia, rhinorrhea, vomiting, diarrhoea, urinary incontinence, miosis, sweating, muscle fasciculations, altered neurological status and a typical smell of insecticide.